Long acting local anaesthetic ?
1. Procaine
2. Lignocaine
3. Prilocaine
4. Dibucaine

Correct answer: 4. Dibucaine

Explanation: Ans. is 'd' i.e., Dibucaine